The age and sex structure of a population may be described by a
1. Life table
2. Correlation coefficient
3. Population pyramid
4. Bar chart

Correct answer: 3. Population pyramid

Explanation: Population pyramid: (age-sex pyramid or age-structure diagram) Is a graphical illustration that shows the distribution of various age groups in a population which normally forms the shape of a pyramid

– Double Histogram: 2 back-to-back histogram graphs
1. one showing the number of males and
2. one showing females in a particular population (Males are conventionally shown on left and females on right)
– The population (%) is plotted on the X-axis and age on the Y-axis (in 5-year age group intervals)